In interphalangeal joint, capsule is absent in the -
1. Medial side
2. Dorsal side
3. Palmar side
4. Lateral side

Correct answer: 2. Dorsal side

Explanation: Ans- B Gray's anatomy 3rd edition: The interphalangeal joints of the hand are hinge joints that allow mainly flexion and extension. They are reinforced by medial and lateral collateral ligaments and palmar ligaments.